Which of the following has a polygenic pattern of inheritance?
1. Diabetes mellitus
2. Familial hypercholesterolemia
3. G6PD
4. Resistant rickets

Correct answer: 1. Diabetes mellitus

Explanation: Polygenic pattern It occurs when one characteristic is controlled by two or more genes -Diabetes mellitus Autosomal dominant : Familial hypercholesterolemia X linked recessive G6pD X linked dominant: Resistant rickets